All of the following aEURoeCDaEUR markers used for diagnostic criteria for systemic mastocytosis EXCEPT
1. CD
2. CD 25
3. CD 117
4. CD 20

Correct answer: 4. CD 20

Explanation: . CD 20